Carrom coin appearance of pneumococcus is due to
1. Capsular polysaccharide
2. C- Carbohydrate antigen
3. Pneumolysin
4. Autolysin

Correct answer: 4. Autolysin

Explanation: Autolysin is amidase enzyme that cleaves peptidoglycan leading to autolysis of cells. 
This property is responsible for carrom coin appearance of pneumococcal colonies.